In children commonest organ involved in nocardiosis is
1. Lungs
2. Brain
3. Skin
4. Renal

Correct answer: 1. Lungs